Most common site of Acral lentigo maligna sub type of malignant melanoma is?
1. Palms & soles
2. Trunk
3. Face
4. Buttocks

Correct answer: 1. Palms & soles

Explanation: Ans A Reference Bailey and Love short practice of Surgery. 26th edition. Acral Lentiginous Melanoma has Poor prognosis Absence of Radial growth phase Age predisposed Elderly - > 60 years Parts commonly involved Acral parts Palms and soles Subungual region Most common Melanoma Superficial Spreading type. Ans A Reference Bailey and Love short practice of Surgery. 26th edition. Acral Lentiginous Melanoma has Poor prognosis Absence of Radial growth phase Age predisposed Elderly - > 60 years Parts commonly involved Acral parts Palms and soles Subungual region Most common Melanoma Superficial Spreading type.